Bacterial vaginosis does NOT include:
1. Profuse creamy discharge
2. Clue cells present
3. Positive whiff test
4. Absent leucocytes

Correct answer: 1. Profuse creamy discharge

Explanation: Gardnerella vaginalis, facultatively anaerobic gram-variable rod, is one of the organismsresponsible for bacterial vaginosis (BV). The vaginal discharge of BV is characteristically described as a thin, gray, homogeneous fluid that is adherent to the vaginal mucosa. A fishy vaginal odour, which is particularly noticeable following coitusis present. Demonstration of clue cells on a saline smear is the most specific criterion for diagnosing BV. The whiff test may be positive in up to 70% of BV patients. The vaginal discharge of patients with BV is notable for its lack of polymorphonuclear leukocytes (PMNs), typically 1 or less than 1 PMN per vaginal epithelial cell.